Postmortem nasal swab in death following -
1. Cocaine poisoning
2. Hanging
3. Drowning
4. Strychnine poisoning

Correct answer: 1. Cocaine poisoning

Explanation: Postmortem nasal swab is taken in poisoning with cocaine because cocaine is usually sniffed for its effects for addiction purposes. Long-term use of cocaine of sniffing causes ulceration and necrosis of the nasal septum.